Parotid fascia extends anteriorly as-
1. Deep cervical fascia
2. Fascia lata
3. Masseteric fascia
4. Stylomandibular ligament

Correct answer: 3. Masseteric fascia